Collagen 17 is
1. Hemi-desmosome BPAG1
2. Hemi-desmosome BPAG2
3. Anchoring filaments
4. Anchoring fibrils

Correct answer: 2. Hemi-desmosome BPAG2

Explanation: INFERIOR PORTION OF BASAL KERATINOCYTE Hemidesmosome (HD):- * Appears as thickened area interspersed along plasma membrane of basal keratinocyte; provides attachment between basal keratinocyte and extracellular matrix. * Composed of following macromolecules: BPAG1, BPAG2, integrin, and plectin . * Tonofilaments (or keratin filaments) insert into hemidesmosomes . BPAG1 (230 kDa) :- * Intracellular glycoprotein in plakin family which is associated with the cytoplasmic plaque domain of hemidesmosomes; promotes adhesion of intermediate filaments with plasma membrane (likely binds or anchors filaments to HD). BPAG2 (180kDa, Collagen XVII) :- * Transmembrane (mainly extracellular) protein belonging to collagen family; interacts with BPAG1, b4 integrin, and plectin. Ref:- Sima Jain; pg num:- 7